Secretion  of  all  of the  following  hormones is decreased on sectioning of pituitary stalk except:
1. Prolactin
2. GH
3. Vasopressin
4. FSH

Correct answer: 1. Prolactin

Explanation: Normally prolactin is under the inhibitory control of hypothalamus. Destruction of pituitary stalk leads to release of prolactin producing cell; ultimately resulting in  increased prolactin.